Action potential is initiated at the axon hillock/initial segment of neuron because:
1. Threshold for excitation is lowest
2. Neurotransmitter is released at this site
3. It is an unmyelinated segment
4. Has lowest concentration of voltage gated Na+  channel

Correct answer: 1. Threshold for excitation is lowest

Explanation: Because the initial segment of the axon has the highest density of voltage-sensitive Na+ channels and therefore the lowest threshold for generating an action potential.